A travelling nerve impulse does not depolarize the area immediately behind it, because:
1. It is hyperpolarized
2. It is refractory
3. It is not self-propagating
4. The condition is always orthodromic

Correct answer: 2. It is refractory

Explanation: Ans. is 'b' i.e. It is refractory Ganong writes -"Once initiated, a moving impulse does not depolarize the area behind it to the firing level, because this area is refractory"